Compared with Cow's milk, mothers milk has more-
1. Lactose
2. Vit D
3. Proteins
4. Fats

Correct answer: 1. Lactose

Explanation: Ans. is 'a' i.e., Lactose